In a young patient presenting with recurrent vitreous hemorrhage, diagnosis is –
1. Eale's disease
2. CRVO
3. Proliferative retinopathy
4. Coat's disease

Correct answer: 1. Eale's disease

Explanation: Eale's disease is characterized by recurrent bilateral vitreous hemorrhage in young adult (20-30 yrs) males.